Most common underlying neoplasm associated with paraneoplastic pemphigus is:
1. Thymoma
2. Non-Hodjkin's lymphoma
3. CLL
4. Medullary carcinoma of thyroid

Correct answer: 2. Non-Hodjkin's lymphoma

Explanation: NHL : most common neoplasm associated with paraneoplastic pemphigus